In which of the following trinucleotide repeat mutation occurs in coding regions of DNA?
1. Myotonic dystrophy
2. Huntington's disease
3. Fragile x syndrome
4. Friedeich ataxia

Correct answer: 2. Huntington's disease

Explanation: In Huntington's disease CAG repeat mutation occurs in coding regions of DNA.